The most common extracranial solid tumor in pediatric age group is ____:
1. Juvenile pilocytic astrocytoma
2. Chloroma
3. Retinoblastoma
4. Neuroblastoma

Correct answer: 4. Neuroblastoma

Explanation: Ans. D. Neuroblastoma* Neuroblastoma - is the most common intra-abdominal malignancy and also, the most common extracranial solid tumor in children.* It is an embryonal cancer of the peripheral sympathetic nervous system.* The median age for diagnosis is 22 months and 90% of cases are diagnosed by 5 years of age.* Other options:- Optic nerve glioma, more properly referred to as juvenile pilocytic astrocytoma, is the most frequent tumor of the optic nerve in childhood.- Chloromas, which are collections of myeloid leukemia cells, seen in patients with AML, can occur throughout the neuraxis.- Retinoblastoma is the most common primary malignant intraocular tumor of childhood.